Relative risk of a disease measures which of the following-
1. Strength of association between suspected cause and effect
2. Biological plausibility between suspected cause and effect
3. Temporal relationship between suspected cause and effect
4. Specificity of association between suspected cause and effect

Correct answer: 1. Strength of association between suspected cause and effect

Explanation: Relative risk = Incidence among exposed /incidence among non exposed A typical case control study does not provide incidence rate from which relative risk can be calculated directly because there is no appropriate denominator or population at risk to calculate these rates.in general relative risk can be exactly determined from a cohort study Ref: 25th edition, Park's Textbook of Preventive and Social Medicine, Page no. 86